Shortest skull diameter:
1. Biparietal
2. Mentovertical
3. Bitemporal
4. Bimastoid

Correct answer: 4. Bimastoid

Explanation: Ans. D i.e. Bimastoid Fetal skull Shortest diameter of fetal skull: Bimastoid (7.5 cm) Largest diameter of fetal skull: Mentovertical (14 cm)